Persistent primary hyperplastic vitreous (PHPV) is associated with –
1. Patau syndrome
2. Edward syndrome
3. Trisomy 14
4. Downs syndrome

Correct answer: 1. Patau syndrome

Explanation: Persistent Primary Hyperplastic Vitreous (PHPV) is seen in association with Trisomy 13 (Patau syndrome) and Trisomy 22.